Early morning awakeness is a feature of -
1. Psychosis
2. Anxiety neurosis
3. Depression
4. Mania

Correct answer: 3. Depression